The muscle which makes an angle of about 23deg with the optical axis is:
1. Superior oblique
2. Superior rectus
3. Inferior oblique
4. Medial rectus

Correct answer: 2. Superior rectus

Explanation: Ans. Superior rectus